Common variable hypogammaglobulinemia shows-
1. Decreased B cell count
2. increased B cell count
3. Normal 13 cell count
4. Absent B cells

Correct answer: 3. Normal 13 cell count

Explanation: Answer is option 3, normal B cell count In normal variable hypogammaglobulinemia, FBC and blood film: peripheral lymphocytes: peripheral B-cell levels are variable but often normal. Plasma B lymphocyte sub-populations concerned with antibody production. hypogammaglobulinemia